Displacements of Colle's fracture are all except
1. Impaction
2. Supination
3. Dorsal tilt
4. Ulnar displacement

Correct answer: 4. Ulnar displacement

Explanation: Displacements seen in Colles' fracture * Impaction of fragments * Dorsal displacement * Dorsal tilt * Lateral displacement * Lateral tilt * Supination Ref: Maheshwari and Mhaskar 9th ed pg 112.